Agent causing malignant hyperthermia-
1. Succinylcholine
2. Dantrolene
3. Gallamine
4. Ketamine

Correct answer: 1. Succinylcholine

Explanation: Ans. is 'a' i.e., Succinylcholine o Drugs causing malignant hyperthermia are succinylcholine (most common cause). Halothane (most common cause amongst the inhalational agent), Isoflurane, Enflurane, Sevoflurane, Desflurane, MethoxyTlurane, Cyc lopropane, Ether, MAO inhibitors, TCA, Phenothiazine, Lignocaine.Malignant hyperthermiao Malignant hyperthermia is a life - threatening medical emergency which is genetically determined,o The condition occurs during or immediately after anaesthesia and may be precipitated by potent inhalation agents (enflurane, halothane, isoflurane), or suxamethonium.o The mechanism involves a sudden rise in intracellular calcium due to release of stored calcium in sarcoplasmic reticulum, stimulating contraction, rhabdomyolysis and a hypermetabolic state.Clinical features areMasseter spasm -If a patient deifelops severe masseter spasm after suxomethonium, there is a significant possibility of malignant hyperthermia.Tachycardia and arrhythmiasRise in end-tidal CO2 (first sign )| temperature & unexpected change in BP.o ManagementI. Vdantroline is the DOC, it acts by preventing the release of calcium from sarcoplasmic reticulum.Others are for supportive treatment - oxygen, cooling, and insulin & dextrose are given for hyperkalemia due to potassium release from contracted muscle.